Which one of the following statements is true to Stockcs-Adam attack -
1. It is usually preceded by an aura
2. Focal neurological signs are commonly observed during the attack
3. It is usually caused by high degree of atrioventricular block
4. It is caused by recurrent paroxysmal tachyarrhythmias

Correct answer: 3. It is usually caused by high degree of atrioventricular block

Explanation: Stokes-Adams syndrome is a periodic fainting spell in which there is a periodic onset and offset of blockage of heart due to disorder of heart rhythm that may last for seconds, hours, days, or even weeks before the conduction returns. It is characterised by decrease in cardiac output and loss of consciousness due to a transient arrhythmia; for example, bradycardia due to complete heart block The attacks are caused by any temporary lack of cardiac output. This in turn could be due to any number of causes, including antimony poisoning, cardiac asystole, heart block, Lev's disease or ventricular fibrillation. Paroxysmal supraventricular tachycardia or atrial fibrillation is the underlying cause in up to 5% of patients. The resulting lack of blood flow to the brain is responsible for the faint Stokes-Adams attacks may be diagnosed from the history, with paleness prior to the attack and flushing after it particularly characteristic. The ECG will show asystole, an AV block, or ventricular fibrillation during the attacks. Ref Harrison 20th edition pg 1437